World's largest cleft lip and palate charity:
1. Smile train.
2. THETA program.
3. Bright futures program.
4. SHARP

Correct answer: 1. Smile train.

Explanation: Option `A' SHARP is - School health additional referral program
Option 'B' Tattle Tooth Program is- Texas Statewide Preventive Dentistry Program
Option 'C' Smile Train is the world's largest cleft lip and palate charity
Option 'D' THETA Program is - Teenage Health Education Teaching Assisstants Program
Colgate's Bright Smiles, Bright futures Program was developed worldwide to teach children positive oral health habits of basic hygiene, diet and physical activity. This program also encourages the dental professionals to emphasize the importance of oral health as a part of child's overall physical and emotional development.